Lovset manoeuvre is used in delivery of :
1. Head
2. Breech
3. Foot
4. Arms

Correct answer: 4. Arms

Explanation: Lovset's maneuver Principle : Because of the curved birth canal, when the anterior shoulder remains above the symphysis pubis, the posterior shoulder will be below the sacral promontory. If the fetal trunk is rotated keeping the back anterior and maintaining a downward traction, the posterior shoulder will appear below the symphysis pubis. REF : Dutta book of obstetrics 8th Ed.